Factors which contribute to the risk of developing periodontal disease in individual teeth include
1. Occlusion
2. Excessive occlusal stress
3. Pulpal infections
4. All of the above

Correct answer: 4. All of the above